White death is
1. TB
2. HIV
3. Plague
4. Yellow fever

Correct answer: 1. TB